Triangle of doom is related to -
1. Laparoscopic Nissen's Fundoplication
2. Laparoscopic hernia surgery
3. Endoscopic thyroidectomy
4. Thoracoscopic thymectomy

Correct answer: 2. Laparoscopic hernia surgery

Explanation: Ans. is 'b' i.e.. Laparoscopic hernia surgery o It is anatomical triangle defined by vas deference medially, spermatic vessels laterally and external iliac vessels inferiorly. Its contents are external iliac artery and deep circumflex iliac vein, genital br. of genitofemoral nerve and hidden by fascia of the femoral nerve.